Most commonly associated disorder with Down's syndrome among the following is
1. Hirschsprung disease
2. CML
3. Late onset Alzheimer's disease
4. Early onset Alzheimer's disease

Correct answer: 4. Early onset Alzheimer's disease

Explanation: Among the following options, Early onset Alzheimer's disease is most appropriate.

AML & ALL have equal incidence
Duodenal atresia is most Common GI disorder associated with Down's syndrome.
Early onset Alzheimer's disease (Pre-senile Alzheimer's in associated with Down's syndrome.